Sapropterin is used in the treatment of
1. Phenylketonuria
2. Hereditary Fructose Intolerance
3. Galactosemia
4. Gaucher's disease

Correct answer: 1. Phenylketonuria

Explanation: Sapropterin, a synthetic form of tetrahydrobiopterin, which acts as a cofactor in patients with residual PAH activity, is approved by FDA to reduce phenylalanine levels in PKU. Galactosemia- Avoid milk & milk products. Hereditary Fructose Intolerance- Complete elimination of sucrose & fructose drom diet. Gaucher's disease- Enzyme replacement therapy.